Sodium-potassium pump is a type of ?
1. Passive transport
2. Primary active transport
3. Secondary active transport
4. Counter transport

Correct answer: 2. Primary active transport

Explanation: Ans. is 'b' i.e., Primary active transport